Which of the following is true about single donor platelet(SDP) transfusion:-
1. Equal to 6-8 random donor platelets
2. Stored in 2-6 degree
3. 10 days shelf life
4. Bedside leukodepletion is required

Correct answer: 1. Equal to 6-8 random donor platelets

Explanation: Platelet is derived random donor platelet (RDP) and SDP(single donor Platelet). RDP (Random donor platelet):- Whole blood Platelet Rich Plasma Platelet Platelet kept at 20-24degC Shell life 3-5 days. Transfuse at 1 unit/10 kg body wt. 1 unit increase platelet count by 5000 cells Disadvantage : Allo-immunization as derived from multiple donor. SDP(Single donor Platelet) Only Platelet is extracted, remaining blood is transfused back 1 SDP = 6-8 RDP Reduced chances of development of allo-immunization Leukodepletion is not required